"Golden S" sign is seen in:
1. Right upper lobe collapse
2. Left upper lobe collapse
3. Right middle lobe
4. Lower lobe collapse

Correct answer: 1. Right upper lobe collapse

Explanation: Ans. Right upper lobe collapse